Treatment of choice in basal cell carcinoma at inner canthus of eye is
1. Radium implant
2. Radiotherapy
3. Chemotherapy
4. Wide excision and reconstruction

Correct answer: 4. Wide excision and reconstruction

Explanation: D i.e. Wide excision and reconstruction Basal cell carcinoma is the most common malignant eyelid tumor Q accounting for 90% of all cases. Radiotherapy & cryotherapy are contraindicated in medial canthus BCC Q. Basal Cell CA (BCC) Basal cell CA is the most common tumor of eyelid Q In most frequently arise from lower eyelid > medial canthus > upper eyelid > lateral canthus. Xeroderma pigmentosa (AR disorder characterized by skin damage on exposure to natural sunlight, progressive cutaneous pigmentation, skin malignancy & bird like facies) & Gorlin-Goltz syndrome are predisposing conditions.